Hypercalcemia is caused by -
1. Thyrotoxicosis
2. Vit D intoxication
3. Thiazide
4. All of the above

Correct answer: 4. All of the above